Which of the following is a K- channel opener?
1. Ranolazine
2. Nicorandil
3. Verapamil
4. Lignocaine

Correct answer: 2. Nicorandil

Explanation: Option B: used in the management of chronic stable Angina. Option A: used to reduce the O2 consumption of the heart